Best method for disposal of refuse where land is available
1. Burial
2. Controlled tipping
3. Manure pit
4. Dumping

Correct answer: 2. Controlled tipping